The disadvantage of winged rubber dam retainer is that it interferes with the placement of
1. Matrix bands
2. Dental floss
3. Rubber dam frame
4. Rubber dam sheet

Correct answer: 1. Matrix bands